A 28 yr old woman has been treated with several autonomic drugs for about a month. Which of the following signs would distinguish between an overdose of a muscarinic blocker and a ganglionic blocker ?
1. Blurred vision
2. Dry mouth, constipation
3. Mydriasis
4. Postural hypotension

Correct answer: 4. Postural hypotension

Explanation: Postural hypotension is due to blockade of sympathetic system. Ganglion blockers inhibit the transmission through both sympathetic as well as parasympathetic ganglia whereas muscarinic blockers inhibit only parasympathetic activity.